Site of b-oxidation is ?
1. Cytosol
2. Mitochondria
3. Lysosome
4. Golgi apparatus

Correct answer: 2. Mitochondria

Explanation: Ans. is 'b' i.e., Mitochondria